Intermittent proptosis is a sign of:
1. Pseudotumour
2. Carotico-cavernous fistula
3. Capillary haemangioma
4. Orbital varices

Correct answer: 4. Orbital varices

Explanation: Ans. Orbital varices